The most specific test for AIDS is-
1. Western blot
2. Southern blot
3. ELISA
4. None

Correct answer: 1. Western blot